Which of the following condition does not present with both mullerian and wolffian duct structures?
1. Antimullerian hormone deficiency
2. FSH receptor mutation
3. Ovotesticular syndrome
4. Mixed gonadal dysgenesis

Correct answer: 2. FSH receptor mutation

Explanation: Karyotype is 46 XY
Since Y chromosome is present gonads are testis, i.e. they are males. In this syndrome, in males - Sertoli cells fail to secrete Mullerian inhibiting substance and the Mullerian duct is present.
Since Leyding cell is also present, they secrete testosterone normally, thus Wolffian duct is also present. So in anti-Mullerian hormone deficiency, both Mullerian and Wolffian ducts are present.
Ovotestis: It is seen in true hermaphroditism. Both ovaries and testis are present. There is the ambiguity of external genitalia. The internal structures depend on the degree of differentiation of the gonads.
Mixed Gonadal dysgenesis Karyotype = 45XO/46XY.
In this situation, the gonadal pattern on one side is streak gonad ovary (corresponding to karyotype 45 XO) and a normal testis on the other side (corresponding to karyotype 46 XY)
Mullerian duct and Wolffian duct development correlates with the character of the ipsilateral gonad, i.e.

45 XO / 46 XY
Streak
Gonads/ovary
      ↓
Formation of ipsilateral Mullerian duct
Testis
    ↓
Formation of ipsilateral Wolffian duct